A 23-year-old man with hemophilia is recently wheelchair bound. Which of the following best accounts for this development?
1. Hemarthrosis
2. Hematemesis
3. Hematocephalus
4. Hematochezia

Correct answer: 1. Hemarthrosis

Explanation: Hemarthrosis refers to bleeding into the joint cavity. It is associated with joint swelling and is a crippling complication of hemophilia. Repeated bleeding may cause deformities and may limit the mobility of the joints. Hematemesis (choice B) is vomiting blood. Hematocephalus (choice C) is an intracranial infusion of blood. Hematochezia (choice D) is passage of blood caused by lower gastrointestinal hemorrhage. Hemoptysis (choice E) is coughing up blood.Diagnosis: Hemophilia, hemarthrosis